A child with cramping pain and current jelly stools. Diagnosis is
1. Volvulus
2. Intussupection
3. Dysentery
4. Umbilical hernia

Correct answer: 2. Intussupection

Explanation: .Intussusception Clinical Features * Common in males (3:2). * Common in 6-9 months. But can also occur at later age grouped children. * Common in spring and winter, coinciding with the gastroenteritis and respiratory infections in respective periods. * Commonest cause of intestinal obstruction in infancy. * Initial colicky abdominal pain (75%) which eventually becomes severe and persistent. * Sudden onset of pain in a male child, with progressive distension of the abdomen, vomiting, with passage of "red-currant-jelly'stool. ref:SRB'S manual of surgery,ed 3,pg no 863